Ideal time for screening of blood sugar for diabetes in a pregnant female is:
1. 16-20 weeks
2. 20-24 weeks
3. 24-28 weeks
4. 12-16 weeks

Correct answer: 3. 24-28 weeks

Explanation: Ans. C: 24-28 weeks The method employed for screening for DM is by using 50 gm oral glucose tolerance test without regard to time of day or last meal, between 24-28 weeks of pregnancy. A plasma glucose value of 140mg percent or that of whole blood of 130 mg% at 1 hour is considered as cut off point for consideration of a 100 gm (WHO-75 gm) glucose tolerance test.